Theca-lutein cysts are characteristic of
1. Ectopic pregnancy
2. Molar pregnancy
3. Missed abortion
4. Preeclampsia

Correct answer: 2. Molar pregnancy

Explanation: The ovaries contain multiple theca-lutein cysts in 25 to 60 percent of women with a complete mole. These likely result from overstimulation of lutein elements by sometimes massive amounts of hCG.Because theca-lutein cysts regress following pregnancy evacuation, expectant management is preferredReference: William's Obstetrics; 25th edition, chapter 20; Gestational trophoblastic diseases